Delirium tremens is caused by?
1. Chronic alcoholism
2. Alcohol withdrawal
3. Cocaine abuse
4. Cocaine withdrawal

Correct answer: 2. Alcohol withdrawal

Explanation: ANSWER: (B) Alcohol withdrawalREF: Kaplan & Sadocks Synopsis of Psychiatry 9th edition page 396-413ALCOHOL INDUCED CONDITIONSAlcohol withdrawal syndromeChronic use syndromes* Hangover (most common)* Alcoholic Hallucinosis* Alcoholic seizures (Rum fits)* Delirium Tremens* Wernicke's Encephalopathy* Korsakoff's Psychosis* Marchiafava Bignami disease